True regarding fibroid uteri :
1. Estrogen dependent tumor
2. Capsulated
3. Can lead to red degeneration in pregnancy for which urgent surgery is required
4. None

Correct answer: 1. Estrogen dependent tumor

Explanation: Ans. is a i.e. Estrogen dependant tumour; and Danazol is used in treatment Now friends after knowing so much about fibroids by means of all previous question. I don't think you need an explanation for this one. You already know Fibroids are estrogen dependant tumoursdeg and don't have a true capsule but a pseudo capsuledeg. Red degeneration occurs in pregnancy but does not require surgical Management, rather it is managed conservatively. Danazol is used in Medical Management of fibroid to both decrease its Vascularity as well as its size. Remember : Fibroid are associated with : -- Follicular cyst of ovarydeg Endometrosisdeg -- Endometrial hyperplasiadeg -- Endometrial cancerdeg Blood supply of a fibroid is present in its pseudo capsule therefore most vascular area of fibroid is its periphery (hence calcification begins in periphery). Whereas least vascular part of fibroid is its centre (hence degeneration begin in centre).